A 45 year old female presented with lower limb weakness, spasticity, urinary hesitancy and mid-dorsal intradural enhancing mass in Mill. What is the diagnosis –
1. Lipoma
2. Meningioma
3. Dermoid cyst
4. Neuroepithelial cyst

Correct answer: 2. Meningioma

Explanation: The mass in question has the following information :


Middle-aged (45 years) women
Mid-dorsal (mid thoracic)
Intradural
Enhancing


All are features of meningioma.
Lipoma, Dermoid, and neuroepithelial tumors, i.e. gliomas (e.g. - astrocytoma) are intramedullary masses.